Which of the following is a chemotactic factor?
1. Prostaglandins
2. Prostacyclins
3. Thromboxane
4. Leukotrienes

Correct answer: 4. Leukotrienes

Explanation: ANSWER: (D) LeukotrienesREF: Robbins 7th ed page 56"Endogenous chemo attractants are C5a, leukotriene B4, IL-8"See APPENDIX-19 for "CYTOKINES